Ladder tears are ?
1. Spiral tears of aortic intima
2. Vertical tears of aortic intima
3. Horizontal tears of aortic intima
4. Oblique tears of aortic intima

Correct answer: 3. Horizontal tears of aortic intima

Explanation: Ans. is 'c' i.e., Horizontal tears of aortic intima